WPW syndrome is caused by -
1. Bundle Branch Block
2. Right sided accessory pathway
3. Ectopic pacemaker in atrium
4. Left budle Branch block

Correct answer: 2. Right sided accessory pathway

Explanation: Ans. is 'b' i.e., Right sided accessory pathwayAnatomy (Location of Accessory pathway) in W.P.W. syndromeo Electrophysiological studies and mapping have shown that accessory. Atrioventricular pathways may be located anywhere along the A-V rign or groove in the septum.o The most frequent locations are:-# Left lateral (50%), posteroseptal (30%) right anteroseptal (10%).# Right lateral (10%).o Preexcitation resulting from left sided accessory is called type A preexcitation.o Preexcitation resulting from right sided accessory pathway is called type B preexcitation.